The hernia which often simulates a peptic ulcer is ?
1. Umbilical hernia
2. Fatty hernia of the linea alba
3. Incisional hernia
4. Inguinal hernia

Correct answer: 2. Fatty hernia of the linea alba

Explanation: Ans. is 'b' i.e., Fatty hernia of the linea alba